Champagne glass pelvic inlet is seen in
1. Cushing's syndrome
2. Addison's disease
3. Achondroplasia
4. Hypothyroidism

Correct answer: 3. Achondroplasia

Explanation: Achondroplasia

Trident hand
Champagne glass pelvic inlet
Bullet vertebra.